Which of the following defines conduct money:
1. Money paid to the witness to behave properly in the court
2. Money paid to the victim to behave properly in the court
3. Travel expenses for witness
4. Travel expenses for victim

Correct answer: 3. Travel expenses for witness

Explanation: Ans. C: Travel expenses for witness In civil cases, a fee is tendered to cover the expenses to attend the court when the summons is served. This is known as conduct money Conduct money It is money paid in some legal systems to a person under the compulsion of a summons to witness/ subpoena to pay for their expenses to attend in court. It generally incorporates a daily rate for each day the witness must attend in court (with a one-day minimum), plus a travel allowance to allow the witness to get to the place of the hearing. Generally, conduct money must be delivered with the summons for it to have legal effect. Witnesses are generally entitled to additional conduct money if their attendance is required on more days than anticipated. Moreover, witnesses who are required to make an overnight stay to attend in court on more than one day are generally entitled to an allowance for accommodation and meals. The rates for travel, daily attendance, accommodation and meals are generally set under a court tariff, and are fixed for all witnesses. A witness may not refuse to appear merely because they believe the conduct money is insufficient to make up for their lost wages or actual travel expenses. Witnesses may be paid more, but the additional cost cannot be claimed against the losing party - only the tariff amount can be recovered. Occasionally, special witnesses, such as experts, may be entitled to receive conduct money under a higher tariff.